Initial screening test for newborn hearing disorder -
1. ABR - Auditory Brainstem Response
2. Otoacoustic Emissions (OAE)
3. Free Field Audiometry
4. Visual reinforcement audiometry

Correct answer: 2. Otoacoustic Emissions (OAE)